Ultrasound is not useful in:
1. CBD stones at distal end
2. Breast cyst
3. Ascites
4. Full bladder

Correct answer: 1. CBD stones at distal end

Explanation: a) CBD stones at distal end of CBD .